Rinne's test is positive in -
1. Chronic suppurative otitis media
2. Normal individual
3. Wax in ear
4. Otomycosis

Correct answer: 2. Normal individual

Explanation: Rinne’s test is positive i.e. air conduction > bone conduction
It is seen in:
a. Normal individuals (Ans 9)
b. In case of sensorineural hearing loss (SNHL)
Amongst the options given in Q.8 only presbyacusis causes SNHL and therefore gives positive Rinne test
Presbycusis: It is sensorineural hearing loss associated with physiological aging process in the ear. It manifests at 65 years of age.